The structure connecting the posterior surface of lens to capsule is called -
1. Hyaloideocapsular ligament of Weiger
2. Vitreous Base
3. Cloquets's Canal
4. Collagen fibres.

Correct answer: 1. Hyaloideocapsular ligament of Weiger

Explanation: Ans. is 'a' i.e., Hyaloideocapsular ligament of Weiger o Hyaloideocapsular ligament of Weiger or retrolental ligament is a strong adhesion between the lens and posterior capsule. It is a circular adhesion 8-9mm in diameter. This attachment is termed as Egger's Line. Within this circle is a potential space called as Space of Burger or Erggelet's space.